Cataract is caused by the deficiency of all of the following EXCEPT
1. Vitamin D
2. Vitamin A
3. Calcium
4. Vitamin E

Correct answer: 2. Vitamin A

Explanation: (B) Vitamin A # Deficiency of vitamin D: It may be associated with zonular cataract, papilloedema and increased lacrimation.> Deficiency of vitamin A: Ocular manifestations of vitamin A deficiency are referred to as xerophthalmia. Not associated with cataract.> Dietary factors: Anomalous diet as regards certain proteins, amino acids, vitamins (riboflavin, vitamin E, vitamin C), and essential elements have also been blamed for early onset and maturation of senile cataract.> Hypocalcaemic cataract may be associated with parathyroid tetany.